Comet Tail Sign is Seen in?
1. Lower Lobe Collapse
2. Round Atelectasis
3. Right Upper Lobe Collapse
4. Left Lower Lobe Consolidation

Correct answer: 2. Round Atelectasis

Explanation: Comet Tail Sign is seen in Round atelectasis which is a round/oval subpleural opacity in posterolateral part of lower lobes with converging vessels and airways entering the opacity in a helical fashion usually giving rise to comet tail sign. Flat waist sign is seen in left lower lobe collapse. Golden S sign is seen in right upper lobe collapse due to bronchogenic carcinoma. Spine sign is seen in left lower lobe consolidation. Comet tail sign